Which of the following statements about cerebellar astrocytomas in pediatric age group is false –
1. These are usually low grade tumors
2. These tumors have a good prognosis
3. These are more commonly seen in the 1st and 2nd decades
4. These tumors are more common in females

Correct answer: 4. These tumors are more common in females

Explanation: Cerebellar astrocytomas do not show any clear gender predilection and are equally common in both males & females.
Low grade astrocytomas are more common in children than adults. The predominant group of astrocytomas is childhood are low grade astrocytoma.
Cerebellar astrocytomas develop most commonly during first two decades of life.
Most common type of astrocytoma in children is Juvenile pilocytic astrocytoma, which has very good prognosis.